Acute Osteomyelitis is most commonly caused by -
1. Staphylococcus aureus
2. Actinomyces bovis
3. Nocardia asteroids
4. Borrelia vincentii

Correct answer: 1. Staphylococcus aureus

Explanation: It is caused most commonly by staphylococcus aureus.